In - vitro fertilisation is indicated in :
1. Anovulatory cycles
2. Tubal block
3. Azoospermia
4. Uterine anomalies

Correct answer: 2. Tubal block

Explanation: Tubal block